All are true regarding pseudomonas aeruginosa, except:
1. Oxidase positive
2. Polar flagellate
3. Ferments glucose forming acid and gas
4. Obligate aerobes

Correct answer: 3. Ferments glucose forming acid and gas

Explanation: Ferments glucose forming acid and gas